A 5 years old child is having acute liver failure. Which one of the following criterial is not included in the King's college criteria?
1. Age < 11 years
2. INR > 6.5
3. Bilirubin > 300 mmol/L
4. Jaundice < 7 days before development of encephalopathy

Correct answer: 4. Jaundice < 7 days before development of encephalopathy

Explanation: King's College selection criteria for liver transplantation in acute liver failure Acetaminophen/Paracetamol induced pH <7.30 (irrespective of grade of encephalopathy) or INR >6.5+ serum creatinine >300 mmol/L + grade 3 or 4 encephalopathy. Acetaminophen/Non-paracetamol induced(irrespective of encephalopathy) INR >6.5 or any three of the following: Age <11 OR 40 years Drug toxicity,regardless of whether it caused ALF More than 7 days' jaundice before encephalopathy INR >3.5 Bilirubin >300 mmol/L